Which of the following is not a feature of 21st trisomy?
1. Intellectual disability
2. Duodenal atresia
3. Hypertonicity
4. CHD

Correct answer: 3. Hypertonicity

Explanation: Down's syndrome (21st trisomy) is the most common chromosomal disorder and a major cause of intellectual disability. Children with Down's syndrome develop muscle hypotonia not hypertonia. Reference: Essential Paediatrics by O.P Ghai 6e page 592.